Ca 125 is elevated in all. Except -
1. Tuberculosis
2. Endometriosis
3. Ovarian tumor
4. Polycystic ovarian disease

Correct answer: 4. Polycystic ovarian disease

Explanation: Ans. is 'd' i.e. "Polycystic ovarian disease (Ref : Shaws, 13/e, p 372 (12/e, p374))Ca-125 is raised inEndometriosisAbdominal tuberculosisPIDMalignant epithelial ovarian tumoursChronic liver diseaseNormal woman - (2%)